Demyelinating disorder among the following is
1. Multiple sclerosis
2. Typhoid
3. Cholera
4. All

Correct answer: 1. Multiple sclerosis

Explanation: Multiple sclerosis is a autoimmune disorder It leads to demyelination of myelinated nervefibers Ref:Guyton and Hall textbook of medical physiology 12th edition,page number:72,73